Which of the following drug is corticosteroid synthesis inhibitor?
1. Metyrapone
2. Finasteride
3. Flutamide
4. Mifepristone

Correct answer: 1. Metyrapone

Explanation: Metyrapone inhibits 11 - β - hydroxylase enzyme and prevents synthesis of corticosteroids.